To detect gastrointestinal protein loss, all are used except
1. Indium - III transferrin
2. α - 1 antitrypsin
3. 99m TC destran
4. 99m TC glycoheptone

Correct answer: 4. 99m TC glycoheptone

Explanation: 99m Tc glycoheptone is used for liver & biliary function.